The inheritance pattern of familial retinoblastomas is ?
1. AD
2. AR
3. X linked dominant
4. X linked recessive

Correct answer: 1. AD

Explanation: Ans. is 'a' i.e., AD